True regarding abdominal autonomic plexus are A/E
1. Aorticorenal ganglion is part of celiac ganglion
2. Greater splanchnic is sympathetic root
3. Lesser splanchnic is parasympathetic root
4. Posterior vagal is parasympathetic root

Correct answer: 3. Lesser splanchnic is parasympathetic root

Explanation: C i.e. Lesser splanchnic is parasympathetic rootCeliac plexus, is a type of aortic plexus located around the origin of celiac artery from abdominal aorta. Because the celiac trunk arises from the front of abdominal aorta at T12-L1 disc level. So the celiac plexus lies retroperitoneally over the anterolateral aspect of abdominal aorta at the level of T12-L1 vetebraeQ.Celiac plexus, renal plexus, superior mesenteric plexus & inferior mesenteric plexus are aortic plexuses situated around the origins of celiac, renal, superior mesenteric & inferior mesenteric arteries from abdominal aorta respectively.